Outbreak of abscess following vaccine injection can be caused by which mycobacteria?
1. M fortuitum
2. M. scrofulaceus
3. M Hordinae
4. M Avium

Correct answer: 1. M fortuitum

Explanation: Ans. is 'a' i.e.,M. fortuitum "Most outbreaks of post-injection abscess have been caused by M fortuitum and M abscessus", Injection site abscess is an iatrogenic infection and is a simple out patient procedure to treat.M. chelonae, M. fortuitum and M. abscessus are the most important rapidly growing mycobacteria associated with such infections.